All of the following are paired except -a) Interarytenoidsb) Corniculatec) Vocal cordsd) Cricothyroidse) Thyroid
1. a
2. b
3. ae
4. ad

Correct answer: 3. ae

Explanation: Cartilages : -


Paired : - Arytenoid, Corniculate, Cuneiform
Unpaired : - Thyroid, Cricoid, Epiglottis


Muscles : - All intrinsic muscles of larynx are paired except interarytenoid (Transverse arytenoid)
Mucosal : - Vocal cords (vocal folds) and false vocal cords (vestibular folds) are paired.